The classification proposed by the International Lymphoma Study Group for non Hodgkin's lymphoma is know as -
1. Kiel classification
2. REAL classification
3. WHO classification
4. Rappaport classification

Correct answer: 2. REAL classification

Explanation: International Lymphoma Study Group proposed a classification called revised European -American classification of lymphoid neoplasm abbrevated as REAL classification. This was based on the hypothesis that all forms of lymphoid malignancies represent malignant counterpart of normal population of immune cell present in lymph node and bone marrow . Kiel classification is an immunologic classification of NHL.It is a modification of Lukes- Collins classification. Divided all malignant lymphomas in to B cell or T cell origin WHO classification is an international classification of all lymphoid neoplasms together as a unified group under the ageis of WHO. Rappaport is a morphological classification based on low power and high power microscopy Ref: Harsh Mohan textbook of pathology, 7th edition.Pg no.344-346